3 point symmetry is NOT disturbed in which fracture
1. Fracture ulna only
2. Fracture radius only
3. Fracture of radius & ulna both bones of forearm
4. Weak posterior capsule

Correct answer: 2. Fracture radius only

Explanation: B i.e. Fracture radius only Weak posterior capsule may disrupt three point bony relation by promoting subluxation or dislocations of elbow. Fracture ulna on the upper end i.e. involving olecranon also disturb three point symmetry. But the radius has nothing to do with three point bony relationshipQ and so it will not disturb three point bony symmetry.